In a child, non-functioning kidney is best diagnosed by
1. Ultrasonography
2. IVU
3. DTPA renogram
4. Creatinine clearance

Correct answer: 3. DTPA renogram